All of the following are causes of death in burns patient except
1. ARDS
2. Shock
3. Sepsis
4. Hyperkalemia

Correct answer: 4. Hyperkalemia

Explanation: Causes of death in burns Shock Sepsis ARDS Multiple organ failure